Casper's dictum is related to:
1. Identification of dead body
2. Calculation of time since death
3. Floatation of a dead body
4. Rate of putrefaction

Correct answer: 4. Rate of putrefaction

Explanation: Ans. Rate of putrefaction